All are methods to treat spastic entropion except
1. Botox injection
2. Eyelid taping
3. Quickert suture
4. Wies marginal rotation

Correct answer: 4. Wies marginal rotation

Explanation: Wies marginal rotation is used for involutional entropion.